Which of the following drugs is a class III antiarrhythmic agent ?
1. Quinidine
2. Amiodarone
3. Propranolol
4. Lignocaine

Correct answer: 2. Amiodarone